Drug of choice for essential tremors
1. Sotalol
2. Propranolol
3. Methylphenidate
4. prazosin

Correct answer: 2. Propranolol

Explanation: Ref: HL Sharma 3rd ed pg no:189 Nonselective beta blockers are used for essential tremors they occur due to contraction of skeletal muscles (beta 2 receptors) cardioselective beta blockers are not useful